In the management of leprosy, Lepromin test is most useful for:-
1. Herd immunity
2. Prognosis
3. Treatment
4. Epidemiological investigations

Correct answer: 2. Prognosis

Explanation: In the management of leprosy, Lepromin test is most useful for prognosis. LEPROMIN TEST: - The test is performed by injecting intradermally 0.1 ml of lepromin at inner aspect of the forearm of the individual. - Two types of positive reaction have been described: Early reaction - also known as FERNANDEZ reaction, read after 3 days Late reaction - also known as MITSUDA reaction, read after 3 weeks - Lepromin test is not a diagnostic test. The test has been generally accepted as a useful tool in evaluating the immune status (CMI) of leprosy patients. - The test is also of great value in estimating the prognosis in case of leprosy of all types.